Massive bleeding per rectum in a 70years patient is seen most commonly in
1. Carcinoma
2. Colitis
3. Diverticulosis
4. Polyps

Correct answer: 3. Diverticulosis

Explanation: Hemorrhage from a colonic diverticulum is the most common cause of hematochezia in patients >60 years, yet only 20% of patients with diverticulosis will have gastrointestinal bleeding. Patients at increased risk for bleeding tend to be hypertensive, have atherosclerosis, and regularly use aspirin and nonsteroidal anti-inflammatory agents. Most bleeds are self-limited and stop spontaneously with bowel rest. The lifetime risk of rebleeding is 25%.Reference: Harrison's Principles of Internal Medicine; 19th edition; Chapter 353; Diverticular Disease and Common Anorectal Disorder